The most common cause of fracture in a patient with Hemophilia is
1. Osteoporosis and Restricted Joint Movement
2. Osteonecrosis
3. Iron deposition
4. Pseudo-tumors

Correct answer: 1. Osteoporosis and Restricted Joint Movement

Explanation: Answer is A (Osteoporosis and Restricted Joint Movement) The most common cause of fractures in patients with haemophilia is osteoporosis and restricted joint movements (from haemophilic ahropathj). 'Fractures may occur frequently and after trivial trauma because of poor musculature, osteoporosis, limited range of motion in affected joint and haemophilic changes in the bone'.